All are true about renal cell carcinoma, except ?
1. Invades Renal Vein
2. Hematuria may occur
3. Arises from proximal convoluted tubule
4. More common in females

Correct answer: 4. More common in females

Explanation: Ans. is 'd' i.e., More common in femalesRenal cell carcinoma (Adenocarcinoma of the kidney) o Also known as hypernephroma.o Renal cell carcinoma occurs usually in the sixth and seventh decades of life. o There is male preponderance in the ratio of 2 to 3 : 1.Risk factorsSmoking (most significant) o CRFo Obesity, hypertension. o Tuberus sclerosis o Unopposed estrogen therapyo Exposure to asbestos, petroleum product and heavy metals.o Familial -* Von Hippel - Lindau syndrome, hereditary papillary carcinoma. Pathologyo The tumor may arise in any portion of the kidney but more commonly affects upper pole.o Most common type of RCC, i.e. clear cell carcinoma arises from proximal tubular epithelium.o Papillary type of carcinoma arises from distal convoluted tubules.o The tumor appears yellow due to accumulation of lipids in tumor cells.o The one of the striking characteristics of this tumor is its tendence to invade the renal vein.Clinical courseo The three classical diagnostic features (classical triad) of renal cell carcinoma are costovertebral pain, palpable mass and hematuria.o The most reliable of three is hematuria.o Others are -a Constitutional symptoms Paraneoplastic syndrome --> Polycythemia, hypercalcemia, hypertension, feminization or masculization, cushing syndrome, eosinophilia, leukemoid reaction, hepatic dysfunction, and amyloidosis.Metastasiso Lungs the most common site.o Others ---> bone, lymph nodes, liver and adrenal, brain in the decreasing order of frequency.